Midbrain is the centre for integration of which of the following reflex
1. Vestibular righting reflex
2. Optical righting reflex
3. Magnet reaction
4. Hoping & placing reaction

Correct answer: 1. Vestibular righting reflex

Explanation: (A) Vestibular righting reflex > Centers for reflexes maintaining the posture are Medulla: Tonic labyrinthine reflex, tonic neck reflex, decerebrate rigidity Midbrain: Righting reflex, grasp reflex, vestibular pacing reaction Cortex: Decorticate rigidity, hopping & pacing reaction# Righting Reflexes:> Righting reflexes operate to maintain the normal standing position and keep an animal's head upright.> These reflexes are a series of responses integrated for the msot part in the nuclei of the midbrain.> When the midbrain animal is held by its body and tipped from side to side, the head stays level in response to the labyrinthine righting reflexes.